ACL prevents:
1. Anterior dislocation of femur
2. Posterior dislocation of tibia
3. Lateral dislocation of tibia
4. Posterior dislocation of femur

Correct answer: 4. Posterior dislocation of femur

Explanation: Anterior cruciate ligament (ACL) prevents posterior displacement of femur(PDF) on tibia and the anterior displacement of tibia on femur, as well. Posterior cruciate ligament- prevent anterior displacement of femur on tibia and the posterior displacement of tibia on femur, as well.